The best filling material in deciduous teeth for RCT:
1. Gutta-percha
2. Calcium hydroxide
3. Zinc Oxide Eugenol
4. Amalgam

Correct answer: 3. Zinc Oxide Eugenol